Internal anal sphincter is a part of
1. Internal longitudinal fibers of rectum
2. Internal circular muscle fibers of rectum
3. Puborectalis muscle
4. Deep perineal muscles

Correct answer: 2. Internal circular muscle fibers of rectum

Explanation: Internal anal sphincter is formed by thickened circular muscle coat of the anal canal (which is continuous with rectum) and surrounds the upper two-third of the canal.